Raju, a 30–year–old male presents to the OPD with sudden onset pain, swelling and redness of the left first metatarsophalangeal joint. A needle aspirate of the joint shows needle-shaped, negatively birefringent crystals. The physician prescribed a drug for the patient, but he came back next day with nausea, vomiting and diarrhea after taking the medication. Which of the following is the most likely drug that was prescribed to this patient ?
1. Allopurinol
2. Colchicine
3. Steroids
4. Indomethacin

Correct answer: 2. Colchicine